A male patient presented with agitation, restlessness and neck stiffness. He had undergone treatment for penile ulcer - 3 years back. Lab investigation used for prognosis of treatment:
1. TPI
2. VDRL
3. FTA-ABS
4. Dark field microscopy

Correct answer: 2. VDRL

Explanation: Ans (b) VDRL